A 24 year old unmarried woman has multiple nodular, cystic, pustular and comadonic lesions on face, upper back and shoulders for 2 years. The drug of choice for her treatment.
1. Acitretin
2. Isotretinoin
3. Doxycycline
4. Azithromycin

Correct answer: 2. Isotretinoin

Explanation: Ans. B. IsotretinoinAcitretin* It is used to help relieve and control severe skin disorders, such as severe psoriasis.* It works by allowing normal growth and development of the skin.* Acitretin must not be used to treat women who are able to bear children unless other forms of treatment have been tried first and failed.* Acitretin must not be taken during pregnancy because it causes birth defects in humansIsotretinoin* It is used to treat the most severe form of acne (nodular acne) that cannot be cleared up by any other acne treatments, including antibiotics* Birth defects (deformed babies), loss of baby before birth (miscarriage), death of baby, and early (premature) births. Female patients who are pregnant or who plan to become pregnant must not take isotretinoin.Female patients must not get pregnant:* For 1 month before starting isotretinoin,* While taking isotretinoin* For 1 month after stopping isotretinoin